Sevoflurane is preferred agent for inhaled induction in pediatric anesthesia due to?
1. Sevoflurane appears to have a greater therapeutic index than halothane
2. Sevoflurane appears to produce the least respiratory depression
3. Less likely than other volatile agents to irritate the airway
4. All

Correct answer: 4. All

Explanation: Cardiovascular depression, bradycardia, and arrhythmias are less frequent with sevoflurane than with halothane. Halothane and sevoflurane are less likely than other volatile agents to irritate the airway or cause breath holding or laryngospasm during induction. Sevoflurane appears to produce the least respiratory depression. The risk for halothane- induced hepatic dysfunction appears to be much reduced in prepubertal children compared with adults. Overall, sevoflurane appears to have a greater therapeutic index than halothane and has become the preferred agent for inhaled induction in pediatric anesthesia.